Raju, a 10 yr old child, presents with a predisposition to fractures, anaemia, hepatosplenomegaly and a diffusely increased radiographic density of bones. The most likely diagnosis is -
1. Osteogensis imperfecta
2. Pyknodysostosis
3. Myelofibrosis
4. Osteopetrosis

Correct answer: 4. Osteopetrosis

Explanation: Osteopetrosis is characterized by progressive anemia, hepatosplenomegaly, severe infections, pathological fractures and diffusely sclerotic bone.